A 28-year-old woman cuts her hand while dicing vegetables in the kitchen. The wound is cleaned and sutured. Five days later, the site of injury contains an abundance of chronic inflammatory cells that actively secrete interleukin-1, tumor necrosis factor-a, interferon- a, numerous arachidonic acid derivatives, and various enzymes. Name these cells.
1. B lymphocytes
2. Macrophages
3. Plasma cells
4. Smooth muscle cells

Correct answer: 2. Macrophages

Explanation: Macrophages. The macrophage is the pivotal cell in regulating chronic inflammation. Macrophages, which are derived from circulating monocytes, regulate lymphocyte responses to antigens and secrete a variety of mediators that modulate the proliferation and function of fibroblasts and endothelial cells. None of the other cells have this wide spectrum of regulatory functions.Diagnosis: Laceration, wound healing